First heart sound occurs during the:
1. Isovolumetric ventricular systole.
2. Isovolumetric ventricular diastole.
3. Protodisatole.
4. Ventricular ejection.

Correct answer: 1. Isovolumetric ventricular systole.

Explanation: Isovolumetric ventricular systole is ended with the opening of the seminar valves, due to which first heart sound is produced.